The biting forces at molar region during mastication is:
1. 20 to 55 pounds
2. 30 to 75 pounds
3. 50 to 75 pounds
4. 90 to 200 pounds

Correct answer: 4. 90 to 200 pounds